Viral enterotoxin is detected as a possible of mechanism pathogenesis in -
1. Adenovirus
2. Rotavirus
3. Calcivirus
4. Astrovirus

Correct answer: 2. Rotavirus

Explanation: Ans. is b i.e., Rotavirus Pathogenesis Three different mechanisms have recognized 1. Destruction of mature enterocytes (Major pathogenic mechanism) Enterotoxin - A non-structural `rotavirus protein, NSP4, functions as an enterotoxin and contributes to secretory diarrhea. Activation of enteric nervous system - Rotavirus may evoke fluid secretion through activation of enteric nervous system in the intestinal wall.